Mirizzi syndrome refers to which of the following?
1. Impacted gallstone in the terminal common bile duct causing complications
2. Stricture in the common hepatic duct
3. Impacted gallstone in the cystic duct causing compression of the common bile duct
4. Duplication of the gallbladder fundus with a septum

Correct answer: 3. Impacted gallstone in the cystic duct causing compression of the common bile duct

Explanation: Mirizzi's syndrome is a complication in which a gallstone becomes impacted in the cystic duct or neck of the gallbladder causing compression of the CBD, resulting in CBD obstruction and jaundice. Reference: Harrisons Principles of Internal Medicine, 18th Edition, Page 2621